Blood transfusion should be completed within how many hours of initiation-
1. 4 hours
2. 6 hours
3. 8 hours
4. 12 hours

Correct answer: 1. 4 hours

Explanation: Ans. is 'a' i.e., 4 hours o Blood transfusion should be completed in less than 4 hours because of the dangers of bacterial proliferation. which may occur as blood warms to room temperature."One unit of red cells is often given in 1 to 4 hours. Infusion of a unit for longer than 4 hours in not recommended, as there is a risk of bacterial proliferation because the opened unit is at room temperature".Whole blood (stored at 4degC)|||Packed RBCPlatelet Rich Plasmao Stored at 4degCo Use within 20 dayso Stored at room tempo Use within 8-12 hours | ||Platelet concentrateFresh frozen plasmao Stored at room tempo Use within 4 hourso Can be used till one year o Stored at -20degC | ||CryoprecipitateCryosupernetanto Rich in vWF, fibrinogen, factor VIII and fibronectino Can be used till one yearo Has all coagulation and plasma proteins except vWF, fibrinogen, factor VIII and